Diethvlstilbesterol causes the following defects except:
1. Renal anomalies
2. Perifimbrirl cysts
3. T shaped uterus
4. Vaginal adenosis

Correct answer: 1. Renal anomalies

Explanation: In addition to its carcinogenic properties, DES is a known teratogen, an agent capable of causing malformations in daughters and sons who were exposed in utero. DES-exposed daughters are at an increased risk of abnormalities of the reproductive tract, including vaginal epithelial changes such as vaginal adenosis (which means a type of cell normally found in the uterus, columnar cells, are also present in the vagina), an increased cervical transformation zone, and uterine abnormalities, such as T-shaped uterus.